Defect in folding of the protein result in which of the following clinical disease:-
1. Kuru
2. Migraine
3. Hypothyroidism
4. Myopia

Correct answer: 1. Kuru

Explanation: Ans. is 'a' Kuru .Prion diseases are known to occur because of defect in the secondary-tertiary protein structure (due to defect of folding of the peptide chain).Kuru is a prion disease.Other prion diseases are:Creutzfeldt-Jakob disease*Scrapie* (in sheep).Bovine spongiform encephalopathy* (in cattle).Note:Prion stands for proteinaceous infectious particle*.It contains no nucleic acid*.